C-3 convertase in alternate complement pathway -
1. C4b2b
2. C3b
3. C3bBb
4. C3a

Correct answer: 3. C3bBb

Explanation: - the first step in the alternative pathway is the binding of C3b to an activator. - bound C3b , which is protected from such inactivation, interact with Factor B to form a magnesium dependent complex C3bB. - this complex is cleaved by Factor D into two fragments, Ba and Bb. -fragment Ba is released into medium. - fragment Bb remains bound to C3b, forming the esterase C3bBb complex, which is alternative pathway C3 convertase. Reference : Anathanarayan & paniker's 9th edition, pg no:123